After an incised wound, new collagen fibrils are seen along with a thick layer of growing epithelium. The approximate age of the wound is -
1. 12-24 hours
2. 24-72 hours
3. 4-5 days
4. About 1 week

Correct answer: 3. 4-5 days

Explanation: . 4-5 days